PKU is due to deficiency of which enzyme:
1. Phenylalanine reductase
2. Phenylalanine hydroxylase
3. Tyrosine hydroxylase
4. Tyrosine reductase

Correct answer: 2. Phenylalanine hydroxylase

Explanation: Ans. (b) Phenylalanine hydroxylaseRef: Harrisons, 19th ed. pg. 434e1* PKU is an autosomal recessive disorder characterized by an increased concentration of phenylalanine and its byproducts in body fluids and by severe intellectual disability if untreated in infancy.* It results from reduced activity of phenylalanine hydroxylase.* The accumulation of phenylalanine:# Inhibits the transport of other amino acids required for protein or neurotransmitter synthesis# Reduces synthesis and increases degradation of myelin, and leads to inadequate formation of norepinephrine and serotonin.* To prevent intellectual disability, diagnosis and initiation of dietary therapy must be started before 2 weeks of age